Transfer of genetic material in between bacteria through pili is termed as:
1. Transduction
2. Conjugation
3. Transformation
4. Transfection

Correct answer: 2. Conjugation

Explanation: (Refer: Anantha Narayanan and Paniker’s Textbook of Microbiology, 9th edition, pg no: 59-61)
Methods of gene transfer